Lady has B/L hearing loss since 4 years which worsened during pregnancy.Type of impedance audiometry graph will be:
1. Ad
2. As
3. B
4. C

Correct answer: 2. As

Explanation: Ans. B As curveRef. Dhingra 5th/ed p 30, 97-98, 6th/ed p 87Lady presenting with hearing loss+Bilateral hearing loss+Which worsens during pregnancy Leaves no confusion - for otosclerosis being the diagnosis.In otosclerosis - impedance audiometry shows As type of curve. Note :In the early disease since middle ear aeration is not affected patient shows as Type A curve